Ossification centre of first carpal bone appears at:
1. 1 year
2. 2 years
3. 3 years
4. 4 years

Correct answer: 1. 1 year

Explanation: Ans. is 'a' i.e., 1 year * The ossification centres in carpal bones appear as follows:# Capitate- 1 year# Hamate- 2 years# Triquitrum- 3 years# Lunate- 4 years# Scaphoid and trapezoid- 5 years# Trapezium- 6 years# Pisiform- 11 years